Fetal lung maturity' is signified by all except -
1. L-S > 2
2. >37 weeks gestation
3. Level of phosphatidyl choline
4. Non reactive NST

Correct answer: 4. Non reactive NST

Explanation: Ans. is 'd' i.e., Non reactive NST Assessment of fetal lung maturityEstimation of pulmonary1 surfactant by lecithin/sphingomyelin (L/S) ratio. A ratio of >2 indicates fetal lung maturity, which is normally attained at the age of 35 weeks.Shake test or Bubble test (Clement's) is useful bed side test. If positive indicates fetal lung maturity.Foam stability1 index (FSI) should be > 47.Presence of phosphatidyl (PG) in amniotic fluid is tested by thin layer chromatography. If present indicates fetal lung maturitySaturated phosphatidyl choline level equivalent or more than 500 ng'ml indicates fetal lung maturityFluorescence polarisation presence of 55 mg of surfactant per gram of albumin indicates fetal lung maturity'Amniotic fluid optical density at 650 mp greater than 0.15 indicates fetal lung maturityLamellar body count of > 30,000/ml indicates fetal lung maturityOrange colour cells >50% indicates fetal lung maturityAmniotic fluid turbidity